Pancreaticoduodenectomy is not indicated in:
1. Multiple cyst and calcifications in head of the pancreas
2. Duodenal cancer
3. Failed drainage procedure for chronic pancreatitis
4. Ampullary carcinoma with secondaries in peritoneum

Correct answer: 4. Ampullary carcinoma with secondaries in peritoneum

Explanation: Pancreaticoduodenectomy Indications Contraindications Carcinoma head of pancreas & Ampullary carcinoma Cystic tumors of pancreas Chronic pancreatitis Duodenal carcinoma Common bile duct cancer(Cholangiocarcinoma) Mucinous cystadenoma Pancreatic trauma Metastatic disease in abdominal cavity or nearby organ